The mycobacteria which grows in culture with in 1-2 weeks are-
1. M. Kansasli
2. M. Leprae
3. M. Chelonei
4. M. Avium intracellulare

Correct answer: 3. M. Chelonei

Explanation: Ans. is 'c' i.e., M.chelonae